Which of the following is a topical vit. D analogue?
1. Cholecalciferol
2. Doxercalciferol
3. Calcipotriol
4. Paricalcitol

Correct answer: 3. Calcipotriol

Explanation: Ans. is 'c' i.e., Calcipotriol o Topical calcipotriol (Calcipotriene) is a Vitamin D analogue used in psoriasis.